Normal cardiac index in an adult is:-
1. 5.9 L/min/M2
2. 2.3 L/min/M2
3. 3.2 L/min/M2
4. 4.6 L/min/M2

Correct answer: 3. 3.2 L/min/M2

Explanation: Cardiac index: - Experiments have shown that the cardiac output increase approximately in proportion to the surface area of the body. Therefore - cardiac output is frequently stated in terms of the cardiac index, which is cardiac output per square meter of body surface area. - The avg. Human being who weight 70 kg has a BSA of about 1.7 sq. meter. Which means that the normal average cardiac index for adults is about 3 L / min / M2 of BSA.